All of the following organs have no lymphatic capillaries EXCEPT :
1. Eyeball
2. Liver
3. Spinal cord
4. Brain

Correct answer: 2. Liver

Explanation: Lymph capillaries are present in most tissues of the body. Absent in: Avascular tissues (e.g. the cornea, epidermis, hair, nails, cartilage) Bone and bone marrow Placenta Eyeball, inner ear Striated muscles and tendons. Thymus, spleen Teeth Central or peripheral nervous system Note: Unlike nodes, the palatine tonsils do not possess afferent lymphatics or lymph sinuses.